The substance present in the gall bladder stones or the kidney stones can be best identified by the following techniques:
1. Fluorescence spectroscopy
2. Electron microscopy
3. Nuclear magnetic resonance
4. X-ray diffraction

Correct answer: 4. X-ray diffraction

Explanation: Polarizing microscopy, X-ray diffraction and infrared spectroscopy are techniques for analysing renal and gall bladder stones.